In an AIDS patient presenting with a fever cough, a diagnosis of pneumocystis carinii pneumonia is best established by-
1. Transtracheal biopsy
2. Broncho alveolar lavage
3. Staining of intranuclear inclusion and silver staining
4. Aspiration and culture

Correct answer: 2. Broncho alveolar lavage